Spasmolytic analgesic is -
1. Dicyclomine
2. Physostigmine
3. Tropicamide
4. None

Correct answer: 1. Dicyclomine

Explanation: Ans. is 'a' i.e., Dicyclomineo Antispasmodic (spasmolytic) drugs are used in various colic (pain) e.g. abdominal colic or renal colic,o Among the given options, dicyclomine is spasmolytic.Antispasmodic drugsi) Quaternary compounds - Propantheline, Oxyphenonium, Clidinium, Pipenzolate, Methylbromide, Isopropamide, Glycopyrrolate.ii) Tertiary amines - Dicyclomine, Valethamate, Pirenzepine.iii) Vasoselective antispasmodic (drugs acting on urinary bladder) - Oxybutynin, Tolterodine, flavoxate.iv) Drotaverine